Moeller's glossitis is due to a
1. pernicious anemia
2. Riboflavin deficiency
3. Acute monocytic leukemia
4. Late acquired syphilis

Correct answer: 1. pernicious anemia

Explanation: Atrophic glossitis. Atrophic glossitis, also known as bald tongue, smooth tongue, Hunter glossitis, Moeller glossitis, or Moller-Hunter glossitis, is a condition characterized by a smooth glossy tongue that is often tender/painful, caused by complete atrophy of the lingual papillae Ref Davidson 23rd edition pg 1036